Soft granuloma is typically found in -
1. Amoeboma
2. Leprosy
3. Tuberculosis
4. Gumma

Correct answer: 3. Tuberculosis

Explanation: Ans. is 'c' i.e., Tuberculosis Soft granuloma (soft tubercle) is seen in TB.